02 delivery to tissues depends on all/except
1. Cardiac output
2. Type of fluid administered
3. Hemoglobin concentration
4. Affinity of hemoglobin for 02

Correct answer: 2. Type of fluid administered

Explanation: Ans. is 'b' i.e. Type of fluid administered The O2 delivery system in the body consists of the lungs and the cardiovascular system.O2 delivery to a particular tissue depends on :amount of O2 entering the lungsthe adequacy of pulmonary gas exchangethe blood flow to the tissuescardiac outputdegree of constriction of the vascular bed in the tissuethe capacity of blood to carry O2 the amount of O2 in the blood is determined bythe amount of dissolved O2 in plasmathe amount of hemoglobinthe affinity of the hemoglobin for O2The affinity of hemoglobin for O2 is represented by the oxygen-hemoglobin dissociation curve and depends on 3 factors -pHtemperature2,3-biphosphoglycerate cone. (BPG)|pHshift O2-Hb|the affinity of|temperature- dissociation curve -Hb for O2|2,3-BPG cone.to the right